Which of the following is a persistant biochemical marker of rickets -
1. S.Ca++
2. S Alkaline phosphatase
3. S. Acid phosphate
4. S. phosphate

Correct answer: 2. S Alkaline phosphatase

Explanation: Serum alkaline phosphatase is a consistent marker and is raised in all types of rickets.